The mucosa of the posterior third of the tongue is supplied by
1. Facial nerve
2. Trigeminal nerve
3. Mandibular nerve
4. Glossopharyngeal nerve

Correct answer: 4. Glossopharyngeal nerve